The outcome following resuscitation of cardiac arrest is worsened if during resuscitation patient is given –
1. Ringer's lactate
2. Colloids
3. 5% Dextrose
4. Whole blood transfusion

Correct answer: 3. 5% Dextrose

Explanation: Glucose containing solutions should not be used in I.V. lines during treatment of shock or cardiac arrest because the amount needed to maintain B.P. would cause pulmonary edema and congestive heart failure d/t volume overload.